Which of the following is not a sclerosing agent?
1. Sodium psylliate
2. Sodium morrhuate
3. Sodium tetradecyl sulphate
4. Sodium bicarbonate

Correct answer: 4. Sodium bicarbonate